Which of the following procedure is indicated to produce cross-linking in the polymerization of linear chains of acrylic:
1. Addition of grain refining agents
2. Addition of difunctional monomers
3. Increasing the amount of heat required for linear polymerization
4. Incorporation of terminating agents

Correct answer: 2. Addition of difunctional monomers